Primary spermatocytes, chromosome is ?
1. 23-X
2. 23-Y
3. 46-XY
4. None

Correct answer: 3. 46-XY

Explanation: Ans. is 'c' i.e., 46-XY